Most common mode of transmission of polio virus?
1. Droplet infection
2. Fecal-oral route
3. Blood transfusion
4. Vertical transmission

Correct answer: 2. Fecal-oral route

Explanation: Ans. is 'b' i.e., Fecal-oral route . Polio transmission is mostly restricted to developing countries where fecal-oral route is the most common mode of transmission.